Secondary retrosternal goitre derives its blood supply from :
1. Mediastinal vessels
2. Thyroid vessels
3. Arch of aorta
4. Bronchial vessels

Correct answer: 2. Thyroid vessels

Explanation: Secondary retrrosternal goitre : Is the extension of thyroid tissue to mediastinum from thyroid in the neck. and it derives blood supply from thyroid vessels.
Primary retrrosternal goitre : Is the ectopic thyroid tissue in the mediastinum and it derives blood supply from mediastinal vessels.